A 35-year-old pregnant female at 40 weeks gestational age presents with pain and regular uterine contractions every 4-5 min. ON arrival, the patient is in a lot of pain and requesting relief immediately. Her cervix is 5 cm dilated. What is the most appropriate method of pain control for this patient?
1. Intramuscular morphine
2. Pudendal block
3. Local block
4. Epidural block

Correct answer: 4. Epidural block

Explanation: Ans. is d, i.e. Epidural blockRef Williams 24/e, p 513When complete relief of pain is needed throughout labor, epidural analgesia is safest and simplest.